In DVT all are seen except
1. High fever
2. Increased temperature at site
3. Pain
4. Tenderness

Correct answer: 1. High fever

Explanation: There is low grade fever.